SMART caries vaccine is a form of:
1. Genetically modified strain of S.mutans BCS3-L1 incapable of producing lactic acid
2. Synthetic Ab prepared from transgenic tobacco plant
3. Egg yolk antibody specific for GTPase
4. Unit of cholera toxin chemically conjugated to relevant antigen

Correct answer: 1. Genetically modified strain of S.mutans BCS3-L1 incapable of producing lactic acid

Explanation: SMART in Smart caries vaccine denotes "S. Mutans and Replacement Therapy". 
Jeﬀrey Hillman from the University of Florida developed a genetically modiﬁed strain of Streptococcus mutans called BCS5- L1 that is incapable of producing lactic acid - the acid that dissolves tooth enamel - and aggressively replaces native ﬂora. In laboratory tests, rats that were given BCS311 were conferred with a lifetime of protection against S. mutans. BCS3-L1 colonizes the mouth and produces a small amount of a lantibiotic, called MU1140, which allows it to outcompete S. mutans. Hillman suggested that treatment with BCSL1 in humans could also provide a lifetime of protection, or, at worst, require occasional reapplications.